In cervical lymph node classification grade VI is marginated at which level
1. Submandibular
2. Anterior compartment
3. Upper jugular
4. Posterior triangle

Correct answer: 2. Anterior compartment

Explanation: Level VI=Anterior Compartment Nodes Ref: Textbook of ENT; Dhingra; 6th edition; Page no: 388